Not a common complication of hemithyroidectomy
1. Hypoparathyroidism
2. Reactionary hemorrhage
3. Recurrent laryngeal nerve palsy
4. External laryngeal nerve palsy

Correct answer: 1. Hypoparathyroidism

Explanation: As parathyroids on the opposite side are preserved and not dealt with during surgery hypoparathyroidism is not seen after hemithyroidectomy.